Electron dense deposits in the region of hyalinosis and sclerosis with diffuse loss of foot processes seen in electron microscope are featurea of
1. Minimal change disease
2. Membranous Glomerulonephritis
3. Membranoproliferative Gn
4. Focal segmental Glomerulunephritis

Correct answer: 4. Focal segmental Glomerulunephritis

Explanation: Refer Robbins page no 919By light microscopy the focal and segmental lesions may involve only a minority of the glomeruli and may be missed if the biopsy specimen contains an insufficient number of glom- eruli (Fig. 20-14A). In the sclerotic segments there is collapse of capillary loops, increase in matrix and segmental deposition of plasma proteins along the capillary wall (hyalinosis), which may become so pronounced as to occlude capillary lumens. Lipid droplets and foam cells are often present (Fig. 20-14B). Glomeruli that do not show segmental lesions usually appear normal on light microscopy but may show increased mesangial matrix. On electron microscopy both sclerotic and nonsclerotic areas show diffuse effacement of foot processes, and there may also be focal detachment of the epithelial cells and denu- dation of the underlying GBM. By immunofluorescence micros- copy IgM and C3 may be present in the sclerotic areas and/or in the mesangium. In addition to the focal sclerosis, there may be pronounced hyalinosis and thickening of afferent arterioles. With the progression of the disease, increased numbers of glomeruli become involved and sclerosis spreads within each glomerulus. In time, this leads to total (i.e., global) sclerosis of glomeruli, with pronounced tubular atrophy